The pacemaker of intestine is:
1. Interstitial cells of cajal
2. Smooth muscle
3. Collagen fiber
4. All

Correct answer: 1. Interstitial cells of cajal

Explanation: The pacemaker of intestine is Interstitial cells of cajal. They in association with smooth muscle cells act as pacemakers Ref:Guyton and Hall textbook of medical physiology 12th edition,page number:395,396